Dysphagia caused by in Plummer Vinson Syndrome is due to
1. Stenosis
2. Web
3. Stricture
4. Ulceration

Correct answer: 2. Web

Explanation: (Web) (1024-25-LB) (737, 1043-B &L 25th)Plummer-Vinson Syndrome (Brown-Kelly Paterson syndrome or sideropenic dysphagia)* Young women with iron deficiency anaemia and dysphagia referred high in the neck.* The dysphagia was said to be caused by spasm or a web in the post-cricoid area. The patients were said to have an increased tendency to post-cricoid cancer.* Web certainly occurs in the upper oesophagus. More recently it has been noted that there is often a patch of heterotopic gastric mucosa in the upper oesophagus (probably congenital)* Complications - ulceration, stricture and adenocarcinoma